Oral contraceptive agents typically causes:
1. Microvesicular fatty infiltration in liver
2. Cholestasis without portal inflammation
3. Periportal inflammation
4. Perivenular fibrosis in portal circulation

Correct answer: 2. Cholestasis without portal inflammation

Explanation: OCP has cholestatic side effect but without causing portal inflammation. Ref: Harrisons principles of internal medicine, 18th edition, Page 2560, Table - 305-1.